Ureterovaginal fistula should best be treated by:
1. Ureteroneocystostomy
2. End-to-end anastomosis through an ureteric catheter
3. Implantation into colon
4. Heal conduit

Correct answer: 1. Ureteroneocystostomy

Explanation: Surgeries for ureteric fistula:

Bladder flap procedure (modified Boari-Ocker-Blad)
Ureteroneocystostomy
Implantation into the bladder
Note: End to end anastomosis may lead to stricture formation.
Colonic transplantation results in recurrent pyelonephritis and hyperchloremic acidosis.